Brown atrophy is due to
1. Fatty necrosis
2. Lipofuscin
3. Haemosiderin
4. Ceruloplasmin

Correct answer: 2. Lipofuscin

Explanation: Ref, Robbins 8/e p10,532,7/e10,9/ep64